Best treatment modality for SCC of bladder
1. Chemotherapy
2. Radiotherapy
3. Radical cystectomy
4. TURBT

Correct answer: 3. Radical cystectomy

Explanation: SCC of bladder is treated by radical cystectomy.